Bromocriptine can be used in following conditions except
1. Hyperprolactinoma
2. Acromegaly
3. Parkinsonism
4. Diabetes insipudus

Correct answer: 4. Diabetes insipudus

Explanation: Refer KDT 7th/e Pg 239. Bromocripine is approved in diabetes mellitus not diabetes insipudus Bromocriptine is an ergoline derivative and dopamine agonist that is used in the treatment of pituitary tumors, Parkinson's disease, hyperprolactinaemia, neuroleptic malignant syndrome, and type 2 diabetes.